Putrefaction sign first appears at
1. Liver undersurface
2. In mediastinum
3. Below the spleen
4. In kidney

Correct answer: 1. Liver undersurface

Explanation: First external sign of putrefaction is the greenish discolouration in right iliac fossa. Internally, first site of reddish brown discolouration is aortic intima and then the undersurface of liver